Gluten free diet is beneficial in –
1. Psoriasis
2. Exfoliative dermatitis
3. Dermatitis herpetiformis
4. Pemphigoid

Correct answer: 3. Dermatitis herpetiformis